In a lateral cephalogram, the distance at which the film is placed from the mid-sagittal plane is:
1. 10 cms
2. 12 cms
3. 15 cms
4. 18 cms

Correct answer: 3. 15 cms